Four carpal bones are present at what age:
1. 3 years
2. 4 years
3. 5 years
4. 6 years

Correct answer: 2. 4 years

Explanation: Ans. 4 years